A 3-month-old male infant developed otitis media for which he was given a course of Co-trimoxazole. A few days later, he developed extensive peeling of the skin; there were no mucosal lesions and the baby was not toxic. The most likely diagnosis is ?
1. Toxic epidermal necrolysis
2. Staphylococcal scalded skin syndrome
3. Steven Johnson syndrome
4. Infantile pemphigus

Correct answer: 2. Staphylococcal scalded skin syndrome

Explanation: Ans. is 'b' i.e., Staphylococcal Scalded skin syndromeo The extensive peeling of the skin after H/O drug intake makes it look like a case of Toxic epidermal necrolysis or Steven's Jhonson syndrome on the first instance. But it is a case of staphylococcal scalded skin syndrome. Note that all the disease given in the question can cause extensive peeling of the skin.o The points which favour the diagnosis of staphylococcal scalded skin syndrome are Mucosa is spared in staphylococcal scalded skin syndrome.Absence of toxicity. S.S.S. usually have primary infection at sites other than skin eg - Nasopharynx, conjuctiva, throat middle ear (otitis media).o Now, about the individual diseasesStaphylococcal scalded skin syndrome Usually begins as prodrome. The acute phase starts with the onset of erythematous rash in the periorbital and perioral area and is tender.o These erythematous rashes are soon (within hrs or days) followed by wrinkling or sloughing of the skin. o The sloughing can be provoked by stroking of the skin (Nikolsky's sign).In later stage, large flaccid bullae may develop. These bullae can cause loss of water and electrolyte. o Fever irritability and lethargy are common but systemic toxicity is not seen.o The entire illness resolves within about 10 days.Toxic epidermal necrolvsis ?It is a severe form of drug reaction.Toxemia is characteristicIt is characterized by bullae that arise on widespread areas of erythema and then they slough leaving behind raw ulcerated skin.Oral mucosa especially the lips, genital mucosa and conjunctiva are ofter involved. In some cases cornea is also involved leading to corneal opacities.o Drugs commonly involved in TEN are --> Thioacetazone, INH, Sulphonamides, Phenolphthalein Stevens Jhonson syndrome ?It is also a severe form of drug eruption.o Toxemia is characteristically present.o It is less severe than toxic epidermal necrolysis. In Steven's Jhonson's syndrome bullaes and epidermal detachment is seen in > 10% of total surface area. Where as in TEN it is seen in > 30% of total surface area. o Mucous membrane is involvedo Common drugs causing this reaction --> Sulphonamides, Tetracycline, Oral antidiabetic drugs.